Which of the following milestone is achieved at 36 months -
1. Drawing a rectangle
2. Building a tower of 20 cubes
3. Riding a tricycle
4. Skipping

Correct answer: 3. Riding a tricycle

Explanation: Ans. is 'c' i.e., Riding a tricycle Milestones seen at 36 monthso Rides tricycleo Stands momentarily on one footo Draws a circle.o Can dress or undress himself completely and succesfully buckles his shoeso Builds tower of 10 cubeso Knows his gender and ageo Repeats a sentence of 6 syllableso Has a vocabulary of 250 wordso Counts 3 objects correctlyo Can withhold and postpone bowel movemento Handedness is established